Cataract is seen in following except:
1. Glucocorticoid administration
2. Rheumatoid arthritis
3. Hypoparathyroidism
4. Galactosemia

Correct answer: 2. Rheumatoid arthritis

Explanation: Ans. is 'b' i.e. Rheumatoid arthritis Aetiological classification of cataract:Senile CataractDevelopmental or congenitalComplicated cataractTraumaticMetabolicDiabetes*Tetany (hypoparathyroidism)Hypoglycemia*Galactosemia*Galactokinase deficiency*Lowe's syndrome*Wilson's disease*Maternal infectionRubella*Toxoplasma*CMV*ToxicGlucocorticoids *Busulphan*Chlorambucil*Long acting miotics*SyndromesWerner's*Alport's*Rothmund*Downs*Radiation alDermatogenicAtopic dermatitis*Rothmund' s syndrome*Werner's syndrome*